Diagnosis of vitamin B1 deficiency is made by
1. Thiamine level
2. Transketolase activity
3. Carboxylase activity
4. Transaminase activity

Correct answer: 2. Transketolase activity

Explanation: Diagnosis of Vit B1 deficiency is made by Transketolase activity.Biochemical Parameters In thiamine deficiency, blood thiamine is reduced, but pyruvate, alpha-ketoglutarate and lactate are increased. Erythrocyte transketolase activity is reduced; this is the earliest manifestation seen even before clinical disturbances.Reference: Textbook of Biochemistry by D M Vasudevan, sixth edition pg no. 392